Fluid entering DCT is always:
1. Hypotonic.
2. Hypertonic.
3. Isotonic.
4. None.

Correct answer: 1. Hypotonic.

Explanation: Kidney receives approx 25% of cardiac output. 
Fluid entering DCT is always Hypotonic.